Most common tumor in lateral hemisphere of brain?
1. Astrocytoma
2. Meningioma
3. Ependymoma
4. Medulloblastoma

Correct answer: 1. Astrocytoma

Explanation: Ans. is 'a' i.e., Astrocytoma Astrocytomas account for 80% of adult primary brain tumors and usually found in cerebral hemisphere